Most common brain lesion causing central precocious puberty is:
1. Tuberculous meningitis
2. Tuberous sclerosis
3. Astrocytoma
4. Hypothalamic hamartoma

Correct answer: 4. Hypothalamic hamartoma

Explanation: d. Hypothalamic hamartoma(Ref: Nelson's 20/e p 2658-2659)Hypothalamic hamartomas are the most common brain lesion causing central precocious puberty.